IOC for acoustic neuroma
1. CT
2. GD enhanced MRI
3. Angiography
4. Four vessels DSA

Correct answer: 2. GD enhanced MRI

Explanation: IOC for acoustic neuroma - Gadolinium enhanced MRI.